Fordyce's spot involves-
1. Sebaceous glands
2. Pilosebaceous glands
3. Hair
4. Nails

Correct answer: 1. Sebaceous glands

Explanation: Fordyces spot is very common and occur in actinic sebaceous glands. They appear as symmetric , multiple, yellow, flat topped papules. Common sites are lips, buccal mucosa, vulva and penile shaft. fordyce spots are ectopic sebaceous glands. they are multiple symmetric------ penile shaft. other ectopic sebaceous glands are Montgomery tubercles- breast meibomian glands- eyes zeis glands- eyes tysons glands- Male external genitalia Ref : Harrison20th edition pg 1207